Maternal Alpha-fetoprotein concentration in serum is elevated in all except :
1. hepatoma
2. Hepatoblastoma
3. Endodermal sinus tumor
4. Fetal Down's syndrome

Correct answer: 4. Fetal Down's syndrome

Explanation: AFP :It is increased in the circulation of patients with hepatocellular carcinoma teratocarcinoma of ovary pregnancy with fetal malformations of neural tube In nonpregnant females normal value is <15ng/dl.A AFP value of >300ng/dl is often associated with cancer,and nonmalignant liver diseases TEXTBOOK OF BIOCHEMISTRY,D.M.VASUDEVAN,pg no:576,6th edition and refer to previous question